Most common type of gastric polyp is -
1. Hyperplastic polyp
2. Hamartomatous polyp
3. Malignant polyp
4. Familial polyosis

Correct answer: 1. Hyperplastic polyp

Explanation: Hyperplastic or inflammatory polyps are regenerative, nonneoplastic lesions which are the most common type (90%).. Hamartomatous polyp are not true neoplasms but are malformations. Eg: Peutz-Jeghers syndrome, juvenile polyp, pancreatic heterotopia, heterotopia of Brunner's glands and inflammatory fibroid polyps. TEXTBOOK OF PATHOLOGY HARSH MOHAN 6TH EDITION PAGE.554 IMAGE Ref : TEXT BOOK OF PATHOLOGY HARSH MOHAN 6TH EDITION Table 20.4 PAGE :554